Which of the following is associated with aging ?
1. Reduced cross linkages in collagen
2. Increased free radical injury
3. Decreased Somatic mutations in DNA
4. Increased superoxide dismutase levels

Correct answer: 2. Increased free radical injury

Explanation: Ans. is 'b' i.e., Increased free radical injuryFree radical (reactive oxygen species) mediated damage is one of the important factor that contribute to cellular aging. The rate at which antioxidant system (catalase, peroxidas and superoxide dismutase) is synthesized declines with cell aging.About other optionsCross linkages in collagen increases with cell aging.Somatic mutations increase with cell aging.